A-7 year child presenting with acute otitis media, does not respond to ampicillin. Examination reveals full and bulging tympanic membrane, the treatment of choice is -
1. Systemic steroid
2. Ciprofloxacin
3. Myringotomy
4. Cortical mastiodectomy

Correct answer: 3. Myringotomy